Reactive arthritis is a/w
1. Chlamydia
2. Yersenia
3. Salmonella
4. All

Correct answer: 4. All

Explanation: Reactive arthritis (previously known as Reiter's disease) is predominantly a disease of young men, with a male preponderance of 15 : 1. It is the most common cause of inflammatory arthritis in men aged 16-35 but may occur at any age. Between 1 and 2% of patients with non-specific urethritis seen at genitourinary medicine clinics have reactive arthritis. Following an epidemic of Shigella dysentery, 20% of HLA-B27-positive men developed reactive arthritis. Classic triad** Non-specific urethritis* Conjunctivitis (~50%)* Reactive arthritis Additional extra-articular features* Circinate balanitis(20-50%)* Keratodermablennorrhagica (15%)* Nail dystrophy* Buccal erosions (10%) Precipitated by* Bacterial dysentery, mainly Salmonella, Shigella,Campylobacter or Yersinia* Sexually acquired infection with Chlamydia REF:DAVIDSON'S PRINCIPLES AND PRACTICE OF MEDICINE 22nd EDITION PAGE NO 1107